While using a periodontal probe to measure the depth of
the periodontal pocket the pocket is measured from:
1. Free gingival margin to the cementoenamel junction
2. Junctional epithelium to the free gingival margin
3. Base of pocket to the cementoenamel junction
4. Base of pocket to mucogingival junction

Correct answer: 2. Junctional epithelium to the free gingival margin